A thirty years old male presents to the emergency department with symptoms of epigastric pain radiating to back that wakes him up a tonight and is relieved by consuming food. He gives history of similar pain in the past which was diagnosed as perforated duodenal ulcer and treated with omental patch surgery on two occasions. Pain before and after surgery has been controlled with proton pump inhibitors and analgesics. The likely diagnosis on this occasion is:
1. Duodenal ulcer
2. Gastric ulcer
3. Atrophic gastritis
4. Chronic pancreatitis

Correct answer: 1. Duodenal ulcer

Explanation: Ans. (a) Duodenal ulcerRef: Sabiston 20th Edition, Page 1199* Pain relieved on eating: Duodenal ulcer* Pain aggravated on eating: Gastric ulcer* Pain unrelated to food: Cancer stomach